Which activate Kinase of Glycolysis?
1. a) ATP
2. b) cAMP
3. c) Insulin
4. d) Glucagon

Correct answer: 3. c) Insulin

Explanation: Regulation of Carbohydrate Metabolism- Enzyme Inducer Repressor Activator Inhibitor Glycogen synthase Insulin Glucagon Insulin, glucose-6-phosphate glucagon Hexokinase Glucagon Glucose-6-phosphate Glucokinase Insulin Glucagon Citrate, ATP, Glucagon Phosphofructokinase Insulin Glucagon 5 AMP, fructose 6-phosphate, fructose 2,6-biphosphate, Inorganic phosphate Pyruvate kinase Insulin Glucagon Fructose 1-6- biphosphate, Insulin ATP alanine glucagon norepinephrine Pyruvate dehydrogenase Insulin Glucagon CoA, NAD+, Insulin, ADP, pyruvate Acetyl CoA, NADH, ATP